Not used in the treatment of Juvenile Larynegeal papillomatosis
1. INF α
2. INF β
3. Bevacizumab
4. Cedofovir

Correct answer: 2. INF β